A 40–year–old politician suffered from attacks of chest pain diagnosed as angina pectoris. He had a tense personality, resting heart rate was 96/min blood pressure 170/104mm Hg, but blood sugar level and lipid profile were normal. Select the most suitable antihypertensive for the initial therapy in his case:
1. Nifedipine
2. Hydrochlorothiazide
3. Atenolol
4. Methyldopa

Correct answer: 3. Atenolol